Which of the following women is most likely to have a successful induction of labor
1. G1P0 with BMI = 32 and neonatal birth weight of 2500g.
2. G2 P1 with BMI = 27 and neonatal birth weight of 3100g.
3. G1 P0 with BMI of 24 and neonatal birth weight of 4000g.
4. G2 P1 with BMI of 32 and neonatal birth weight of 3200g.

Correct answer: 2. G2 P1 with BMI = 27 and neonatal birth weight of 3100g.

Explanation: Favorable factors for successful induction

BMI < 30
Favorable cervix
Birth weight < 3500g.